Osteoporosis is seen in all the following except
1. Thyrotoxicosis
2. Rheumatoid arthritis
3. Hypoparathyroidism
4. Steroid therapy

Correct answer: 3. Hypoparathyroidism

Explanation: Answer is C (Hypoparathyroidism) : Osteoporosis as associated with lzyperparathyroidism (not hypoparathyroidism). DISEASES ASSOCIATED WITH AN INCREASED RISK OF GENERALIZED OSTEOPOROSIS IN ADULTS : Hypogonadal States Nutritional and gastrointestinal disorders Turner Syndrome Malnutrition Klinefelter syndrome Parenteral nutrition Anorexia nervosa Malabsorption syndromes Hypothalmic amenorrhea Gastrectomy Other primary or secondary hypogonadal states Severe liver disease, especially biliary cirrhosis Pernicious anemia Endocrine disorders Hematologic disorders / Malignancy Cushing's syndrome Multiple disorders/malignancy Hyperparathyroidism Lymphoma and leukemia Thyrotoxicosis Malignancy-associated parathyroid hormone - related (PTHrP) Insulin-dependent diabetes mellitus production Acromegaly Mastocytosis Adrenal insufficiency Hemophilia Thalassemia Selected inherited & Rheumatologic disorders Miscellaneous Osteogenesis imperfectaQ ImmobilizationQ Marfan syndromeQ Chronic obstructive pulmonary disease Hemochromatosis Pregnancy and lactation HypophosphatasiaQ Scoliosis Glycogen storage diseases Multiple sclerosis HomocystinuriaQ Sarcoidosis Ehlers-Danlos syndrome Amyloidosis Porphyria Alcoholism Menkes' syndrome Epidermolysis bullosa Rheumatoid arthritis DRUGS ASSOCIATED WITH AN INCREASED RISK OF GENERALIZED OSTEOPOROSIS IN ADULTS : Glucocorticoids2 CyclosporineQ Cytotoxic drugs Anticonvulsants Excessive alcohol Excessive thyroxin Aluminium Gonadotropin-releasing hormone agonistsQ Heparin Lithium